All are oncogenic virus EXCEPT
1. Human papilloma virus
2. Epstein-Barr virus
3. Hepatitis B virus
4. Herpes-simplex

Correct answer: 4. Herpes-simplex

Explanation: i.e. (Herpes - simplex): (563-65-Ananthanarayan 8th)Herpes simplex and cancer cervix - An association has been proposed between herpes simplex type 2 infection and cancer of the uterine cervix, though not proved.It has also been suggested that herpes simplex type I infection may be associated with cancer of the lip Herpes virus type 8 has been linked to Kaposi's sarcomaONCOGENIC VIRUSESRNA - Viruses Retroviruses1. Avian leukosis viruses2. Murine leukosis viruses3. Murine mammary tumour virus4. Leukosis - sarcoma virus of various animals5. Human T-cell leukemia virusesDNA - Viruses I. Papova viruses1. Papilloma viruses of human beings, rabbits and other animals2. Polyomavirus3. Simian vims 404. BK and JV virusesII. Poxvirus1.Molluscum contagiosum2. Yaba vims3. Shope fibromaIII. AdenovirusMany human and non human typesIV. Herpes virus1. Marek's disease vims2. Lucke's frog tumour vims3. Herpes vims pan, papio, ateles and saimiri4. Epstein - Barr vims5. Herpes simplex virus type I & II6. Cytomegalo vimsV. Hepatitis B and C viruses